Which type of RPD can best resist the forces, to which it is subjected?
1. Class I
2. Class II
3. Class III
4. Class IV

Correct answer: 3. Class III